Intra aireal injection of thiopentone causes:
1. Vasospasm
2. Vasodialation
3. Necrosis of vessel wall
4. Hypotension

Correct answer: 1. Vasospasm

Explanation: A i.e. Vasospasm